Sullivan's index measures-
1. Mortality
2. Morbidity
3. Infectivity
4. Disability

Correct answer: 4. Disability

Explanation: Sullivan's index: Also called DFLE (disability-free life expectancy) is the average number of years an individual is expected to live free of disability if current pattern of mortality and disability continue to apply. Ref : Park's Textbook of Preventive and Social Medicine; 23rd edition; Page 26